All are true statements regarding Lemborexant except :
1. It is used in the treatment of Insomnia
2. It is an orexin receptor agonist
3. It is useful in patients with difficulties with sleep onset/maintenance
4. The most common adverse effect is somnolence

Correct answer: 2. It is an orexin receptor agonist

Explanation: Lemborexant FDA approved drug for the treatment of insomnia which got its approval after two Phase III clinical trials namely SUNRISE I and SUNRISE II. Useful in insomnia ,characterized by difficulties with sleep onset and/or sleep maintenance. Orexin neuropeptide signaling system plays a role in wakefulness. Blocking the binding of wake-promoting neuropeptides orexin A and orexin B to orexin receptors OX1R and OX2R is thought to suppress wake drive. Lemborexant binds to orexin receptors OX1R and OX2R and acts as a competitive antagonist with stronger inhibition effect to OX2R most common adverse effect is somnolence